Small for date baby is -
1. < 10 percentile for that gestational age
2. < 50 percentile for that gestational age
3. <2000gm
4. <2500 gm

Correct answer: 1. < 10 percentile for that gestational age

Explanation: According to WHO , small for date baby is defined as less than 10th percentile for the gestational age Reference Park's textbook of preventive and social medicine 23rd edition pg 536